Dobutamine increases:
1. Heart rate
2. Cardiac output
3. Blood pressure
4. Plasma volume

Correct answer: 2. Cardiac output